Congenital rubella syndrome is associated with -
1. Cataract
2. Sensory neural hearing loss
3. Congenital heart disease
4. All of above

Correct answer: 4. All of above

Explanation: Congenital rubella syndrome (CRS) 

Causes serious problem when infection occur in the FIRST Trimester,
Classical triad

1. Sensory neural hearing loss
2. Eye abnormality


Renopathy


Cataract


Microphthalmia


3. Congenital heart disease especially PDA